Normal epidermal - melanin unit is
1. 1:32
2. 1:54
3. 1:36
4. 1:38

Correct answer: 3. 1:36

Explanation: Each melanocyte transfers melanin to 36 keratinocytes forming the epidermal melanin unit (1:36).